Retention grooves for class 3 restoration are placed:
1. Bucco axial and linguo axial line angles.
2. Occlusoaxial line angles.
3. Axiogingival line angle.
4. Retention grooves are not possible in class 3 preparation.

Correct answer: 3. Axiogingival line angle.